Which of the following part of brain is commonly involved in the pathology of Wernicke's encephalopathy?
1. Mamillary body
2. Frontal cortex
3. Pituitary gland
4. Temporal lobe

Correct answer: 1. Mamillary body

Explanation: Mammillary bodies are symmetrically affected in Wernicke's and Korsakoff psychosis thiamine deficiency is common in alochol dependence patients as they refuse to take thiamine rich foods and also due to changes in thiamne absorption. thiamine intake is reduced in alcohol patients as they consume less amount of green leafy vegetables because of decreased appetite thiamine is less absorbed because both thiamine and alcohol gets absorbed in the duodenum. as both of them compete with each other and eventually alcohol wins and hence thiamine is less absorbed. GOA-seen in Wernicke encephalopathy Global confusion, ophthalmoplegia, ataxia wernicke's encephalopathy is 100%reversible and has a good prognosis with adminstration of thiamine. Confabulations are seen in Korsakoff psychosis koraskoff psychosis is a misnomer as there is nopsychotic symptoms , but the patient preents with confabulation that is called as fluent plausible lying. Ref: Essentials of postgraduate psychiatry By JN Vyas 1st ed Pg 330